DALY measures-
1. Morbidity 8c mortality
2. Morbidity 8c disability
3. Mortality 8c disability
4. None of the above

Correct answer: 3. Mortality 8c disability

Explanation: Ans. is 'c' i.e., Mortality & disability Disability-adjusted life years (DALY)* DALY is a measure ofi) The burden of disease in a defined populationii) The effectiveness of interventions* It expresses years lost to premature death and years lived with disability adjusted for the severity of the disability.* That means, DALY measures both mortality and disability together (in contrast to Sullivan's index which is related to disability only).* One DALY is one lost year of healthy life.* Japanese life expectancy statistics are used as a standard for measuring premature death, as Japanese have the longest life expectancy.